Memory cells don't undergo apoptosis due to the presence of which growth factor?
1. Platelet derived growth factor
2. Nerve growth factor
3. Insulin like growth factor
4. Fibroblast growth factor

Correct answer: 2. Nerve growth factor

Explanation: Nerve growth factor was the first identified protein with anti-apoptotic activity on neurons. This prototypic neurotrophic factor, together with the three structurally and functionally related growth factor. Hence nerve cells don't undergo apoptosis.